In ICD-10 how many volumes are there:
1. 1
2. 2
3. 3
4. 4

Correct answer: 3. 3

Explanation: ICD-10 (International Classification of Diseases, 10th revision on January 1, 1993).
ICD does uniform classification of diseases which can be used throughout the world to make accurate comparisons of morbidity and mortality data for decision making in prevention, facilitation and management of health care system.
ICD-10 consists of 3 volumes:


Volume-I: contains reports of the international conference of 10th revision, classification of morphology of neoplasms, special tabulation list for mortality and morbidity, definition and nomenclature regulation.
Volume-II: Instruction manual
Volume- III: Alphabetical Index

NOTE: there are 21 major chapters in ICD-10